Anaemia due to antibodies against blood group antigens
1. Hereditary spherocytosis
2. G6PD deficiency
3. Haemolytic disease of the newborn
4. Alpha thalassemia major

Correct answer: 3. Haemolytic disease of the newborn

Explanation: Answer- C. Haemolytic disease of the newbornHemolytic disease of thefetus and newborn (HDFN), also known as alloimmune HDFN or erythroblastosis fetalis, is caused by the destruction of reil blood cells (RBCs) of the neonate or fetus by maternal IgG antibodies.